Drug of choice for central diabetes insipidus
1. Vasopressin
2. Desmopressin
3. Lypressin
4. Presselin

Correct answer: 2. Desmopressin

Explanation: Ans. is'b'i.e., DesmopressinDesmopressin (intranasal) is the DbC for central DI.